Infantile cortical hyperostosis is:
1. Cherubism.
2. Marfan syndrome
3. Caffey disease.
4. Garre's osteomyelitis.

Correct answer: 3. Caffey disease.